Bilateral hilar lymphadenopathy with non caseating granuloma is seen in -
1. TB
2. Lymphoma
3. Sarcoidosis
4. All of the above

Correct answer: 3. Sarcoidosis

Explanation: Ans. is 'c' i.e., Sarcoidosis Sarcoidosis Sarcoidosis is an immune system disorder characterized by the presence of non-caseating granulomas. o The cause of the disease is still unknown. Virtually any organ can be affected, however granulomas most often appear in the lung or the lymph nodes --> Bilateral hilar lymphadenopathy or lung involvement is visible on chest radiograph in 90% of cases. Histology o Histologically involved tissues show the classical nocaeseating granulomas, composed of an aggregate of tightly clustered epitheloid cells, often with langhans or forein body type giant cells. Central necrosis is unusual ---) noncaeseating. o Granulomas also contain. (i) Schaumann bodies ---> Laminated concretions composed of calcium and proteins. (ii) Asteroid bodies --> Stellate inclusions within giant cells.